THUMB PRINT APPEARANCE in culture film smear is seen in
1. bacillus anthrax
2. brucella
3. Bordetella
4. clostridium welchii

Correct answer: 3. Bordetella